Which of the following zone is commonly involved in benign prostatic hypertrophy?
1. Peripheral zone
2. Transition zone
3. Central zone
4. Anterior zone

Correct answer: 2. Transition zone

Explanation: The peripheral zone accounts for 70% of the volume of the young adult prostate, the central zone accounts for 25%, and the transition zone accounts for 5%. Sixty to seventy percent of carcinomas of the prostate (CaP) originate in the peripheral zone, 10-20% in the transition zone, and 5-10% in the central zone. Benign prostatic hyperplasia (BPH) uniformly originates in the transition zone. Ref: Presti J.C., Kane C.J., Shinohara K., Carroll P.R. (2008). Chapter 22. Neoplasms of the Prostate Gland. In E.A. Tanagho, J.W. McAninch (Eds), Smith's General Urology, 17e.